Cholangiocarcinoma is associated with -
1. Chlonorchis sinensis
2. Schistosoma
3. Plasmodium
4. None

Correct answer: 1. Chlonorchis sinensis

Explanation: Ans. (a) Chlonorchis sinensisRef: Bailey 26th edition Table page 1115* Opisthorcis vivernii and Clonorchis sinensis are associated with Cholangiocarcinoma.